A patient of maniac depressive psychosis is on lithium, clozapine and fluphenazine. During the course of treatment, he developed seizures and tremors. He is drinking water heavily and had recurrent episodes of urination. Which drug is responsible for these complications:
1. Lithium
2. Clozapine
3. Fluphenazine
4. None of the above

Correct answer: 1. Lithium

Explanation: Ans: A i.e. Lithium Drugs for Schizophrenia and side-effects Dose related side effects of lithium includes polyuria/polydypsia, weight gain, tremor etc. Common side effects of clozapine are anticholinergic, antiadrenergic etc. Potentially life threatening side effects includes fatal agranulocytosis, fatal myocarditis, fatal pulmonary embolism etc. Side effect of antipsychotic, include sedation, weight gain, extra-pyramidal side effects, postural hypotension etc.